Transitional objects appear at the age of:
1. 2-5 yrs
2. 5-10 yrs
3. 6 months - 2 years
4. Less than 6 months

Correct answer: 3. 6 months - 2 years

Explanation: Transitional objects are the objects that provide comfort to the infants, in the absence of mothers. Different type of objects can act as transitional objects, with 'blankets' being the most common one. Transitional objects usually develop around six months, though different authors differ about the exact age of their appearance.